Which of the following is not a feature of consolidation
1. Increased vocal resonance
2. Dull Percussion note
3. Bronchial Breath sounds
4. Tracheal shift to side of consolidation

Correct answer: 4. Tracheal shift to side of consolidation

Explanation: Answer is D (Tracheal shift to side of consolidation): Trachea stays in midline in consolidation (no mediastinal shift). Consolidation is usually caused by pneumonia. In this situation alveoli are full of inflammatory exudates but the size of the lung is unaffected so the trachea remains in its normal midline position.